When the pH of the stomach lumen falls below 3, the antrum of the stomach releases a peptide that acts locally to inhibit gastrin release. This peptide is:
1. Enterogastrone
2. Intrinsic factor
3. Secretin
4. Somatostatin

Correct answer: 4. Somatostatin

Explanation: Ans. D. SomatostatinWhen the pH of the stomach falls below 3, the antrum secretes somatostatin, which acts locally to inhibit gastrin release; therefore, somatostatin inhibits gastric secretion. Enterogastrones are hormones produced by the duodenum that inhibit gastric secretion and motility. Intrinsic factor is involved in the absorption of vitamin B12 and is not involved in the release of gastrin. Secretin is a hormone secreted by the duodenal and jejunal mucosa when exposed to acidic Chyme and is responsible for stimulating pancreatic secretion rich in bicarbonate. CCK stimulates the gallbladder to contract and the pancreas to secrete some juice rich in enzymes.